Hair cell of organ of corti supported by-a) Onodi cellsb) Deiter cellc) Hensen celld) Bullar celle) Haller cell
1. a
2. c
3. ac
4. bc

Correct answer: 4. bc

Explanation: Supporting cells in organ of corti are PHD i.e. Pillar cells, Hersen cells and Decten cells.
Hellar cells are ethmoidal air cell that extend along the medial roof of the maxillary sinus. They may exist as a discrete cells or the may open into maxillary sinus or infundibulumQ 
“Onodi cells are posterior and lateral extension of posterior ethmoidal cells. These cells can surround the optic nerve tractQ and put the nerve at risk during surgery”